The tubuloglomerular feedback is mediated by:
1. Sensing of Na+ concentration in the macula densa
2. Sensing of Cl+ concentration in macula densa
3. Sensing NaCl concentration in the macula densa
4. Opening up of voltage gated Na+ channels in afferent arteriole

Correct answer: 3. Sensing NaCl concentration in the macula densa

Explanation: C i.e. Sensing NaC1 concentration in the macula densa'To perform the function of auto regulation, the kidneys have a feed back mechanism (tubuloglomerular feed back) that links changes in sodium chloride concentration at the macula densa (tubular component) with the control of renal arteriolar resistance. (glomerular component).